Albumin is important factor in maintaining osmotic pressure, has:
1. Low molecular weight and high blood concentration
2. Low molecular weight and low blood concentration
3. High molecular weight and low blood concentration
4. High molecular weight and high blood concentration.

Correct answer: 1. Low molecular weight and high blood concentration

Explanation: A i.e. Low molecular weight and high blood concentration Osmotic pressure is determined by the number of particles in solution and not by the mass of the particle, that means 1 gm of a heavy molecular weight protein will contain a lesser no. of particles than 1 gm of a light molecular weight protein, & conse uentiv will have a lesser osmotic pressure Plasma protein MW Concentration Contribution to plasma osmolality Albumin 69,000 3.5-5 gm% 80% Globulin 1,40,000 2.0 gm% 20% Fibrinogen 4,00,000 0.3 gm% 0% Of the there major types of plasma protein, albumin with minimum molecular weight contributes. max to plasma oncotic pressure.